Which receptors are blocked in Myasthenia Gravis?
1. Ach receptor
2. Ca++ receptors
3. Na+ receptors
4. Opioid receptors

Correct answer: 1. Ach receptor

Explanation: Auto-antibodies destroy some of the Nicotinic acetylcholine receptors and bind others to neighbouring receptors, triggering their removal by endocytosis.